Drug of choice for prophylaxis of Pneumocystis jiroveci pneumonia in immunocompromised patients is:
1. Cotrimoxazole
2. Amoxycillin
3. Dexamethasone
4. Cefotetan

Correct answer: 1. Cotrimoxazole

Explanation: Ans (A) Cotrimoxazole(Ref: Harrison 19/e p1361)Cotrimoxazole is drug of choice forPneumocystis jiroveciNocardiaBurkholderia cepacia